Which of the following is a cause for autoimmune hemolytic anemia?
1. CLL
2. IMN
3. Sickle cell anemia
4. Both CLL & IMN

Correct answer: 4. Both CLL & IMN

Explanation: In sickle cell anemia the hemolysis is due to structural defect in the B chain causing increased stickiness. It is not immune related.